Staphylococcus aureus causes
1. Erythrasma
2. Chancroid
3. Acne vulgaris
4. Bullous impetigo

Correct answer: 4. Bullous impetigo

Explanation: The exfoliative toxin produced by staphylococci is responsible for staphylococcal scalded skin syndrome(SSSS). The severe form of SSSS is known as Reitter's disease in the newborn and toxic epidermal necrolysis in older patients. Milder forms are pemphigus neonatorum and bullous impetigo. Ref: Textbook of Microbiology; Ananthanarayan and Paniker's; 10th Edition; Page No: 204